A 9 year-old has multiple itchy erythematous wheals all over the body for 2 days. There is no respiratory difficulty. Which is the best treatment?
1. Antihelminthics
2. Systemic corticosteroids
3. Antihistamines
4. Adrenaline

Correct answer: 3. Antihistamines

Explanation: C i.e. Antihistamines